True about adrenocortical carcinoma:
1. Rare tumor
2. More than half are functional
3. Most commonly associated with Cushing syndrome
4. All of the above

Correct answer: 4. All of the above

Explanation: ADRENOCORTICAL CARCINOMARare tumor>50% are functional.Cushing's syndrome is most commonly seen, followed by virilization.Capsular or vascular invasion is the most reliable sign of cancer.